A 3-year-old girl is brought for diarrhoea of 2 weeks duration. She weights 8 kg and her height is 93 cm. Her nutritional status can be described as
1. Mild malnutrition
2. Moderate malnutrition
3. Severe malnutrition
4. Very severe malnutrition

Correct answer: 3. Severe malnutrition

Explanation: At 3yr child is expected to be 15kg and 95 cm. IAP classification of malnutrition Normal >80 Grade I 71-80 (mild malnutrition) Grade II 61-70 (moderate malnutrition) Grade ill 51-60 (severe malnutrition) Grade IV <50 (very severe malnutrition) She is 53% of expected weight so severe malnutrition. Reference: GHAI Essential pediatrics, 8th edition